Most common complication of celiac plexus block
1. Pneumothorax
2. Postural hypotention
3. Retroperitoneal hamorrhage
4. Intra_arterial injection

Correct answer: 2. Postural hypotention

Explanation: Postural hypotension : due to lumbar sympathetic chain blockade leading to upper abdominal vessel dilation and venous pooling. So intravenous fluids are required preblock